All are symptoms of molar pregnancy except:
1. Amenorrhea
2. Symptoms of Hypothyroidism
3. Abnormal vaginal bleeding
4. Expulsion of grape like vesicles

Correct answer: 2. Symptoms of Hypothyroidism

Explanation: Ans: B (Symptoms of Hypothyroidism) Ref: Shaw's textbook, of gynaecology 15th ed. Pg 253Explanation: (See the following tabletCLASSIC CLINICAL FEATURES OF COMPLETE MOLEAmenorrhoea of 8- 12 weeksAbnormal vaginal bleedingLower abdominal painHyperemesis gravidarumFeatures of early onset preeclampsia (< 20 weeks)Uterine Ht > POGAbsence of fetal parts and fhrExpulsion of grape like vesiclesTheca lutein cyst of ovariesSymptoms of Hyperthyroidism (High HCG can mimic TSH)Serum HCG > 100000 miu/mlUSG : Snow storm appearance